Which one of the following is the fastest acting inhalational agent ?
1. Halothane
2. Isoflurane
3. Ether
4. Sevoflurane

Correct answer: 4. Sevoflurane

Explanation: Amongst the given options, sevoflurane has minimum B : G partion coefficien (0.69) → fastest acting amongst the given options.
Only Desflurane, cyclopropane & N2O are faster acting than sevoflurane.